The following drug is not used for the treatment of type II lepra reaction
1. Chloroquin
2. Thalidomide
3. Cyclosporine
4. Corticosteroids

Correct answer: 3. Cyclosporine

Explanation: C i.e. Cyclosporine